After vascular supply to the testes and ductus deferens on the corresponding side of the body, left testicular vein drains into?
1. Left renal vein
2. Inferior vena cava
3. Common iliac vein
4. Internal iliac vein

Correct answer: 1. Left renal vein

Explanation: The paired gonadal veins are not bilaterally symmetrical.Each vein drains blood from the testis and courses from the scrotal sac, through the spermatic cord, and traverses the superficial inguinal ring through the inguinal canal before entering the abdominal cavity.The right gonadal vein drains into the inferior vena cava, whereas the left gonadal vein drains into the left renal vein. Ref: Moon D.A., Foreman K.B., Albeine K.H. (2011). Chapter 7. Anterior Abdominal Wall. In D.A. Moon, K.B. Foreman, K.H. Albeine (Eds), The Big Picture: Gross Anatomy.